Best for unruptured ectopic pregnancy is:
1. Per abdominal US
2. HCG
3. Trans vaginal US
4. Amniocentesis

Correct answer: 3. Trans vaginal US

Explanation: C i.e. Tranvaginal US